All are precancerous lesions of oral cavity except
1. Leukoplakia
2. Erythroplakia
3. Diffuse oral submucous fibrosis
4. Diffuse aphthous ulcers

Correct answer: 4. Diffuse aphthous ulcers

Explanation: Premalignant Lesions - Leukoplakia Erythroplakia Oral submucous fibrosis Melanosis and mucosal hyperpigmentation Ref: Dhingra; Textbook of Ear, Nose and Throat; 7th Edition; Page 253